What is approx fetal weight, if height of uterus is above pubic symphysis is 35 cm and station of head -2?
1. 2.5 kg
2. 3 kg
3. 3.5 kg
4. 4 kg

Correct answer: 3. 3.5 kg

Explanation: Ans. is c, i.e. 3.5 kgRef. Dutta Obs. 9/e, p 68Estimation of fetal weight can be done using Johnson formula:If station of head below ischial spine x 155If fetal head is at or above ischial spine- x 155 Here fetal head is at - 2, i.e. above ischial spine, so it will be (35 - 12) x 155 = 3.5 kg.Also Know:USG measurement of fetal weight =Shephard formula =Log10 EFW(gm)=1.2508+-(0.002646xACxBPD)Hadlock formula =Log10 EFW(gm)=1.3596-0.00386(ACxFL)+0.0064(HC)+0.00061(BPDxAC)+0.0425(AC)+0.0174(FL)